All are congential myopathies except
1. Central Core myopathy
2. Centronuclearmyopathy
3. Z band myopathy
4. Nemalin myopathy

Correct answer: 3. Z band myopathy

Explanation: *Congenital myopathies are centralcoremyopathies,nemaline(rod)myopathies,centronuclear (myotubular)myopathies. Nemaline myopathy (also called rod myopathy or nemaline rod myopathy) is a congenital, hereditary neuromuscular disorder with many symptoms that can occur such as muscle weakness, hypoventilation, swallowing dysfunction, and impaired speech ability Ref Harrison20th edition pg 2378